Peroxidase enzyme is used in estimating
1. Haemoglobin
2. Ammonia
3. Creatinine
4. Glucose

Correct answer: 4. Glucose

Explanation: The blood glucose analysis is ordered to measure the amount of blood at the time of sample collection. It is used to detect both hyperglycemia and hypoglycemia and helping the diagnosis of diabetes. An ideal blood glucose estimation method should determine only glucose. It is adaptable for both macro- and semi-micro- techniques. Reagents are relatively inexpensive and the method should require a minimum of time, techniques and apparatus, be accurate and yield reproducible results. Glucose oxidase(peroxidase) is an enzyme highly specific for glucose and is not react with blood saccharides. So it has been employed for the estimation of blood glucose.